Follow–up of cataract operations in national blindness control program is done by –
1. Active surveillance
2. Passive surveillance
3. Sentinel surveillance
4. Routine check-up

Correct answer: 3. Sentinel surveillance

Explanation: 25 sentinel surveillance units have been established in departments of ophthalmology and PSM in medical collages in India for assessment of -
Beneficiary profiles.
Visual outcomes based on cataract surgery records.
Follow-up of operated cases.  
Ocular morbity data.